Most antibodies are produced in the:
1. Heart and the liver
2. Brain and the meninges
3. Thymus and the appendix
4. Spleen and the lymph nodes

Correct answer: 4. Spleen and the lymph nodes